Lachman test is positive in
1. Anterior cruciate ligament injury
2. Posterior Cruciate ligament injury
3. Medial meniscus injury
4. Lateral meniscus injury

Correct answer: 1. Anterior cruciate ligament injury

Explanation: A i.e. Anterior cruciate